Awakening from a single bolus dose in rapid from Propofol due to;-
1. Redistribution
2. Excretion
3. Biotransformation
4. D- Methylation

Correct answer: 1. Redistribution

Explanation: It is redistributed from the brain to tissues which are less perfused like muscles, resulting in rapid recovery within 20 minutes. All intravenous anaesthetic agent undergo rapid redistribution. Thus awakening from Thiopentone, Propofal, Etomidate, ketamine is very fast.